Which of the following is an amphibolic pathway?
1. Glycolysis
2. Citric acid cycle
3. Gluconeogenesis
4. Glycogenolysis

Correct answer: 2. Citric acid cycle

Explanation: The citric acid cycle is not only a pathway for oxidation of two carbon units, but is also a major pathway for interconversion of metabolites arising from transamination and deamination of amino acids, and providing the substrates for amino acid synthesis by transamination, as well as for gluconeogenesis and fatty acid synthesis. Because it functions in both oxidative and synthetic processes, it is amphibolic. Reference: Harper; 30th edition; Page no: 164